Earliest ocular finding in acoustic neuroma:
1. Diplopia
2. Ptosis
3. Loss of corneal sensation
4. Papilloedema

Correct answer: 3. Loss of corneal sensation

Explanation: Earliest nerve involved by acoustic neuroma - Vth nerve / trigeminal nerve. Earliest manifestation of Vth nerve involvement is decreased corneal sensitivity leading to loss of corneal reflex.